Fine reticular pigmentation with palmar pits are seen in -
1. Dowling - Degos disease
2. Rothmund thornpson syndrome
3. Cockyane syndrome
4. Bloom's syndrome

Correct answer: 1. Dowling - Degos disease

Explanation: Fine reticular pigmentation with palmar pits is characteristic of downing Degos disease Dowling-Degos disease (DDD) is a type of reticulate pigmentary disorder in which hyperpigmented macules are found in the flexures. Iadvl text book of dermatology, page 737